Pregnancy rate with female condom as compared to male condom,
1. Lesser than male condom
2. Higher than male condom
3. Same as male condom
4. Zero

Correct answer: 2. Higher than male condom

Explanation: Pregnancy rate with female condum is higher than with the male condom.